Basal Metabolic Rate depends most closely on
1. Lean body mass
2. Body mass index
3. Obsesity
4. Body surface area

Correct answer: 1. Lean body mass

Explanation: Basal metabolic rate usually expressed in terms of daily rates of energy expenditure. The early work of the scientists J. Arthur Harris and Francis G. Benedict showed that approximate values could be derived using body surface area (computed from height and weight), age, and sex, along with the oxygen and carbon dioxide measures taken from calorimetry. Studies also showed that by eliminating the sex differences that occur with the accumulation of adipose tissue by expressing metabolic rate per unit of "fat-free" or lean body mass, the values between sexes for basal metabolism are essentially the same.BMR estimation formulasSeveral prediction equations exist. Historically, the most notable one was the Harris-Benedict equation, which was created in1919.The Original Harris-Benedict Equation: for men, for women, The Katch-McArdle Formula (BMR): , where LBM is the lean body mass in kg.Ref: Ganong's review of medical physiology-24th edition; page no-489